Faded tattoo mark can be visualized by -
1. Ultraviolet rays
2. Spectrophotometer
3. Ordinary light
4. X-ray

Correct answer: 1. Ultraviolet rays

Explanation: Ans. is 'a' i.e., Ultraviolet rays Latent tattoo marks (faded marks) can be visualized by:-Use of ultraviolet lightInfrared photograpy Rubbing the part and examining under magnifying glassIf tattoo marks are obscured by decomposition they can be visualized by treating with 3% H202.Tattoo marks can be developed by treating the skin by 0.5% caustic potash.Histopathology of local lymph nodes for pigment.